In the treatment of congenital adrenal hyperplasia due to lack of 21 β–hydroxylase, the purpose of administration of a synthetic glucocortocoid is:
1. Inhibition of aldosterone synthesis
2. Prevention of hypoglycemia
3. Recovery of normal immune function
4. Suppression of ACTH secretion

Correct answer: 4. Suppression of ACTH secretion